Howarth operation is done for
1. Achalasia cardia
2. Frontal sinusitis
3. Pyloric stenosis
4. EDH

Correct answer: 2. Frontal sinusitis

Explanation: HOWARTH OPERATION is done mainly for the treatment of frontal sinusitis. .treatment for ACHALASIA CARDIA includes *modified heller's operation *POEM(peroral endoscopic myotomy *forcible dilatation ref: SRB's manual of surgery,5th ed, pg no 798